How much fluoride is present in a tooth paste with 700 ppm fluoride?
1. 0.7 mg per one gram of toothpaste
2. 7 mg per one gram of tooth paste
3. 7.2 mg per one gram of toothpaste
4. 0.007 mg per one gram of toothpaste

Correct answer: 1. 0.7 mg per one gram of toothpaste